Incision for medicolegal autopsy include all except?
1. 'T' shaped
2. 'Y' shaped
3. Modified 'I' shaped
4. Modified 'Y' shaped

Correct answer: 3. Modified 'I' shaped

Explanation: Ans. is 'c' i.e., Modified 'I' shaped Types of primary skin incisions are :?I-shaped incision: Extending from the chin straight down to symphysis, passing to the side the umblicus.Y-shaped incision: Begins close to acromion process and then extends down below the breast across to xiphold process from where it is carried downwards to the symplysis pubis.Modified Y-shaped incision: Incision is made from suprasternal notch to symphysis pubis.The incision extends from suprasternal notch over the clavicle to its center on both sides and then passes upwards over the neck behind the ear.